Protein synthesized in rough Endoplasmic reticulum will first go to:
1. Mitochondria
2. Cytosol
3. Golgi body
4. Lysosome

Correct answer: 3. Golgi body

Explanation: Ans. (c) Golgi BodyRef: Gationg's Physiology, 25th ed. pg. 43-44